Viruses can be grown using all of the following except:
1. Tissue culture
2. Embryonated eggs
3. Animals
4. Enriched media

Correct answer: 4. Enriched media

Explanation: Ans. D. Enriched mediaViruses are strict/obligate cellular parasites, as they lack necessary enzymes for nucleic acid and protein synthesis. They are dependent on host cells for this, hence can't grow in cell free (artificial) culture medium.Methods for virus isolation/culturea. Animalb. Embryonated eggs (CAM, Amnion, Allantoic, Yolk sac)c. Tissue Culture